Savlon contains
1. Cetrimide + Chlorhexidine
2. Cetrimide + Chlorhexidine + butyl alcohol
3. Cetrimide + butyl alcohol
4. Cetrimide + cetavlon

Correct answer: 1. Cetrimide + Chlorhexidine

Explanation: Savlon is a combination of cetavlon and hibitane. Plastic appliances can be disinfected by keeping them in normal strength savlon for 20 minutes. Savlon 1 in 6 spirit is more effective than savlon in 1 in 20 aquous solution Ref: 25th edition, Park's Textbook of Preventive and Social Medicine, Page no. 141